On the basis of histologic features, Internal thoracic artery is
1. Medium sized arksey
2. Small sized artery
3. Large sized artery
4. Capillary

Correct answer: 3. Large sized artery

Explanation: Internal thoracic artery is a medium sized artery with histological features of Large sized artery